Characteristic lesion in scabies -
1. Burrows
2. Vesicle
3. Papule
4. Pustule

Correct answer: 1. Burrows

Explanation: Ans is 'a' i.e., Burrows o Burrow is serpentine (S.shaped), thread like grey brown line which represents the intraepidermal tunnel created by mov ing female mite in stratum comeum. Burrow is pathognomic sign of scabies. Burrows are very difficult to demonstrate in infants.Scabieso Scabies in is caused by mites of the family Sarcoptidae, which includes Sarcoptes scabiei, the scabies mite. Usually affects children but can occur at any age. More common in low socioeconomic strata as overcrowding and poor hygiene facilitate the spread. The most imp mean of spread is direct contact with the infected individual. Scabies is water shed disease wrhich occurs die to inadequate use of water and improper hygiene.Pathogenesiso After copulation male mite dies and female mite burrows down into superficial skin layer (s.corneum) at rate of 2mm/day. Female mite lays eggs which hatch into the larva, which moulds and mature into adult mites. The mites then burrow through stratum corneum. These burrows are visible clinically as irregular grey brown line. Burrow is pathognomic sign of scabies.o Incubation period is 4-6 weeks before itching starts. During this period there is no symptom because itching is due to hypersensitivity to some of the products (saliva scabin) of mites and it takes 4-6 weesk to hyprsensitivity to develop.Clinical featuresSevere itching is the most prominent clinical feature abd has following charactersticsWorse at nightGenerelisedAffecting several family members Body areas most commonly involved are web spaces of fingers, wrists, elbow, axilla and groin area, areas known as circle of Hebra.Burrow is serpentine (S.shaped), thread like grey brown line wrhich represents the intraepidermal tunnel created by moving female mite in stratum comeum. Burrow- is pathognomic sign of scabies. Burrows are very difficult to demonstrate in infants.Paules and papulovesicular eruptions due to hypersensitivity to mitePustules can occur due to seceondary infectionExcoriation and scratch marksHistory of involvement of family membersArea of predilection in scabieso AdultsWeb of fingers, flexor surface of wrists, ulner border of forearm, anterior axillary foldUmbilical and periumblical region (anterior abdomen)Genitals (scortum and penis in males, and nipple and areola in females)Upper thigh and lower part of buttocksScalp, face, palms and soles are characteristically spared except in young children and infants. In whom these sites are typically involved.